Following are signs of internal malignancy except –
1. Tuberous sclerosis
2. Acanthosis nigricans
3. Clubbing
4. Dermatomyositis

Correct answer: 1. Tuberous sclerosis

Explanation: Acanthosis nigricans, clubbing and dermatomyositis are paraneoplastic cutaneous signs of internal malignancy.